All are risk factors for shoulder dystocia except:
1. Maternal diabetes
2. Trisomy 18
3. Maternal obesity
4. Post term pregnancy

Correct answer: 2. Trisomy 18

Explanation: Ans. B. Trisomy 18a. Increased risk of shoulder dystocia is seen in the following conditions:b. Fetal macrosomiac. Prior history of shoulder dystociad. Maternal obesitye. Maternal DM/Gestational diabetesf. Post term pregnancyg. Prolonged 2nd stage of laborh. Instrumental deliveryi. Anencephalic fetusj. Trisomy 18 is associated with IUGR, therefore no increased risk for shoulder dystocia.